A  peripheral  smear  with  increased  neutrophils, basophils,  eosinophils,  and  platelets  is  highly suggestive of
1. Acute myeloid leukemia
2. Acute lymphoblastic leukemia
3. Chronic myelogenous leukemia
4. Myelodysplastic syndrome

Correct answer: 3. Chronic myelogenous leukemia

Explanation: The peripheral blood picture of this patient is quite characteristic of chronic myeloid leukemia.
Chronic  myeloid  leukemia  is  a  stem  cell  disease  that  is  characterized  by  leukocytosis  with  granulocytic  immaturities,  basophilia, splenomegaly and distinct chromosomal abnormality Philadelphia chromosome.